Ovarian tumour staging if one ovary involved without surface involvement or rupture
1. Stage 1A
2. Stage 1B
3. Stage 1C1
4. Stage 1C2

Correct answer: 1. Stage 1A

Explanation: STAGE 1A: Ovarian cancer limited to one ovary without malignant ascites or positive peritoneal washings, surface involvement or rupture